Defect seen in Bartter syndrome is
1. Distal Convoluted Tubule
2. Proximal Convoluted Tubule
3. Thin descending limb of loop of Henle
4. Thick ascending limb of loop of Henle

Correct answer: 4. Thick ascending limb of loop of Henle

Explanation: (D) Thick ascending limb of loop of Henle[?]Bartter Syndrome:-An inborn autosomal recessive defect, in the Na+-K+-2C- cotransporter in the thick ascending limb of the loop of Henle, leading to NaCl and water wasting.-Symptoms are polyuria, polydipsia, episodes of dehydration, faltering growth and constipation.-There may be maternal polyhydramnios with an affected fetus.-The resultant ECF volume contraction causes secondary renin secretion and raised aldosterone levels, with avid Na+ and water reabsorption in the distal tubule and reciprocal K+ and H+ secretion into the urine.-The blood pressure is normal; the hyperreninaemia is a compensatory response to maintain normal blood pressure in the presence of chronic ECF volume depletion.-There is also increased renal prostaglandin E2 production.[?]Fanconi Syndrome:oDiffuse proximal tubular dysfunction, leading to excess urinary loss of:-Glucose - glycosuria with normal blood glucose-Phosphate - hypophos- phataemia, rickets-Amino acids - no obvious clinical consequence-HCO3- - leading to proximal RTA-K+ - causing hypokalae- mia-Na+Cl- & water - leading to polyuria & polydipsia, chronic ECF volume depletion, faltering growth.-Tubular proteinuria - loss of low molecular weight proteins including retinol binding protein.